In a healthy individual and a normal diet, which of the following ion is completely absorbed in tubules
1. Na+
2. K+
3. C-
4. HCO3-

Correct answer: 4. HCO3-

Explanation: HCO3- is completely absorbed in renal tubules during normal diet.Ref: Ganong's review of medical physiology; 24th edition; page no; 714